In a patient of total parenteral nutrition daily monitoring is done with -
1. Body weight
2. Plasma protein
3. Plasma osmolality
4. Coagulation profile

Correct answer: 1. Body weight